Hashimoto's thyroiditis - True are all except
1. Follicular destruction
2. Increase in lymphocytes
3. Oncocytic metaplasia
4. Orphan Annie eye nuclei

Correct answer: 4. Orphan Annie eye nuclei

Explanation: Cause of Hashimoto thyroiditis,is autoimmune-mediated destruction of thyrocytes. A complex immunologic phenomenon results in the formation of immunecomplexes and complement in the basement membrane of follicular cells. These cellular reactions ultimately result in the infiltration of lymphocytes and resultant fibrosis, which decreases the number and efficiency of individual follicles. Thus leading to hypothyroidism Hurthle cell (oncocytes) changes are seen in Hasimotos thyroiditis. Orphan annie eye nuclei are seen in papillary carcinoma thyroid. Source Sabiston 20th edition Pg : 891